The highest concentration of potassium is in:
1. Plasma
2. Isotonic saline
3. Ringer lactate
4. Darrow's solution

Correct answer: 4. Darrow's solution

Explanation: Ans. (d) Darrow's solutionHighest potassium concentration is seen in Darrow solution. Composition Na+K+Cl-Ca++LactateGlucoseCaloriesIV fluid 5.41121.827--Ringer'slactate(Hartmann's)130-154----Normal saline (0.9% NaCl)154-154----10% glucose-----1004000.45 NaCl/5% glucose77-77--50200Darrow'ssolution12135103-53--